The largest component of gutta percha cones is
1. Gutta percha
2. Zinc oxide
3. Resins and waxes
4. Colouring agents

Correct answer: 2. Zinc oxide